A 1-month-old boy is referred for failure to thrive. On examination, he shows features of congestive failure. The femoral pulses are feeble as compared to brachial pulses. The most likely clinical diagnosis is:
1. Congenital aortic stenosis
2. Coarctation of aorta
3. Patent ductus arteriosus
4. Congenital aortoiliac disease

Correct answer: 2. Coarctation of aorta

Explanation: b. Coarctation of aorta(Ref: Nelson's 20/e p 2205, Ghai 8/e p 413-433)Feeble femoral pulsations compared to strong brachial pulsations suggests of coarctation of aorta.